Bone marrow depression is seen with.
1. Halothene
2. N20
3. Ether
4. Isoflurane

Correct answer: 2. N20

Explanation: B i.e. N2O